Pressure of oesophagus is __________ mm below ambient
1. 3
2. 5
3. 12
4. 18

Correct answer: 2. 5